Causes of localized hypopigmented macule or patch are all except -
1. Vitiligo
2. Piebaldism
3. Pityriasis alba
4. Freckle

Correct answer: 4. Freckle

Explanation: Freckles are small (>5 mm in diameter), circumscribed, poorly marginated, labile, pale brown macules that appear exclusively on the sun exposed skin of a fair complexioned individual. The term ephelides is also used to describe freckles. others piebaldism, vitiligo and pityriasis alba produce hypopigmentes macules IADVL textbook of dermatology , pigmentary disorders page 772